The most common complication of Supracondylar fracture :
1. Osteosacrcoma
2. Gene valgum
3. Volkmanns ischemic contracture
4. Malunion with gun stock deformity

Correct answer: 4. Malunion with gun stock deformity

Explanation: Cubitus varus also known as gun stock deformity due to the malunion is the most common complication of Supracondylar humerus fracture TREATMENT * Cubitus varus deformity has no tendency for spontaneous correction but it always has to be corrected. * Treatment options include: * (a) Observation with expectant remodelling * (b) Hemi epiphysiodesis and growth alteration * c) Corrective Osteotomy Refer Maheshwari 9th ed p 102